True about Acoustic neuroma -
1. Malignant tumor
2. Arises from vestibular nerve
3. Upper pole displaces IX,X,XI nerves
4. Lower pole displaces trigeminal cranial nerve

Correct answer: 2. Arises from vestibular nerve

Explanation: Here Option a i.e. malignant tumor is incorrect as acoustic neuroma is a benign tumor.
Option b: It arises from vestibular nerve is correct
Option c: Upper pole displaces IX, X and XI nerve–incorrect, as is evident from the diagram given in the text: Upper pole displaces III, IV and V nerve whereas lower pole displaces IX, X and XI nerve.